Which of the following brainstem nuclei is not derived from the alar plate?
1. Inferior olivary nucleus
2. Substantia nigra
3. Red nucleus
4. Hypoglossal

Correct answer: 4. Hypoglossal

Explanation: Hypoglossal nucleus is derived from the basal nuclei.Structures of brainstem derived from alar lamina are:* Midbrain- colliculi, red nucleus, colliculi, Mesencephalic nucleus of 5th CN* Pons- pontine nuclei, vestibular nuclei, Cochlear nuclei, main sensory nucleus, Nucleus of spinal tract, nucleus tractus Solitaris.* Medulla - Inferior olivary nucleus, vestibular Nucleus,nucleus of spinal tract of 5th Cranial nerve, nucleus tractus solitaries, Part of dorsal nucleus of vagus nerve.(Ref: human embryology by IB Singh, 9th edition, pg 293)